Cataract is seen in following except –
1. Gluocorticoid administration
2. Rheumatoid arthritis
3. Hypoparathyroidism
4. Galactosemia

Correct answer: 2. Rheumatoid arthritis

Explanation: Glucocorticoid, hypoparathyroidism and galactosemia can cause cataract. RA is not a risk factor for cataract.